Postganglionic fibers are longer in
1. Para sympathetic system
2. Sympathetic system
3. Bothe have same length
4. It is variable

Correct answer: 2. Sympathetic system

Explanation: Ref: Ganong's review of medical physiology 23rd edition Page no :263 Typically, parasympathetic preganglionic fibers are long and synapse in rather diffuse ganglia usually located in or near the innervated organ. Usually there are a small number of postganglionic fibers innervated by preganglionic fibers. Thus, this is a system set up for discrete regulation of organ function and conservation of resources (feed or breed). Typically, sympathetic preganglionic fibers are short and synapse in paravertebral ganglia. The typical postganglionic sympathetic fiber is long and sends its endings into organs throughout the body from the paravertebral ganglia. Usually there are a large number of postganglionic fibers inner bated by preganglionic fibers. Thus, this is a system set up for amplification of outflow and widespread discharge during times of stress, fear, anger, etc. (fight or flight). Ref: guyton and hall textbook of medical physiology 12 edition page number:671,672,673